Characteristic lesion of scabies is-
1. Burrow
2. Fissure
3. Vesicle
4. Papule

Correct answer: 1. Burrow

Explanation: A i.e. Burrow